Androgen receptor blocking drug is-
1. Tamoxifen
2. Cyproterone acetate
3. Mifepristone
4. Nalondrone

Correct answer: 2. Cyproterone acetate

Explanation: Ans. is 'b' i.e., Cyproterone acetate